A 12 years old girl with tremors and emotional liability has golden brown discolouration in escement's membrane. The most likely diagnosis
1. Fabry's disease
2. Wilson's disease
3. Glycogen storage disease
4. Acute Rheumatic fever

Correct answer: 2. Wilson's disease